Best method for detecting minimal bronchiectasis is:
1. Bronchogram
2. CT scan
3. Radionuclide lung scan
4. Chest X-ray

Correct answer: 2. CT scan

Explanation: Ans. CT scan